Milligan-Morgan operation is indicated in
1. Rectal prolapse
2. Haemorrhoides
3. Anal fissure
4. Fistula in Ano

Correct answer: 2. Haemorrhoides

Explanation: (Haemorrhoids) (1259-LB) (1256-B &L 25th)Indication of Haemorrhoidectomy* Third degree haemorrhoids* Second degree haemorrhoids which have not been cured by non operative treatments* Fibrosed haemorrhoids* Intero-extemal haemorrhoids when the external haemorrhoids is well definedHaemorrhoidectomy can be performed using an open or closed technique - Open technique is most commonly used in the UK and is known as the Milligan-Morgan operation. In the open technique the anal mucosa and skin are left open to heal by secondary intension, and in the closed technique the wound is sutured.* Delorme's operation used in rectal prolapse (1225-LB)